Causes of pulmonary-renal syndrome
1. Leptospirosis
2. Hanta virus
3. Paraquat poisoning
4. All of the above

Correct answer: 4. All of the above